The fetus (which is partly foreign to the mother) is not rejected by mother due to:
1. Immunosuppressive effect of placental hormones
2. Absence of HLA molecules in villous trophoblast
3. Production of blocking Antibody
4. All of the above

Correct answer: 4. All of the above

Explanation: Ans. is 'd' i.e., All of the above * The fetus and the placenta contain paternally determined antigens which can lead to immunological rejection. The placenta has some role in preventing such a rejection:1) Placental hormones (EPF,PAPP-A,STERIODS & HCG) have got some immunosuppressive effect.2) There is production of blocking antibodies by mother in response to TLX (trophoblast lymphocyte cross reactive antigen) which protect the fetus from rejection.3) Absence of HLA molecules in villous trophoblast.